A 20 year old male had pain in abdomen and mild fever followed by gastroenteritis. The stool examination showed presence of pus cells and RBCs on microscopy. The etiological agent responsible is most likely to be -
1. Enteroinvasive E. coli.
2. Enterotoxigenic E. coli.
3. Enteropathogenic E. coli.
4. Enteroaggregative E. coli.

Correct answer: 1. Enteroinvasive E. coli.